Cardiomyopathy is/are due to deficinency of:
1. Selenium
2. Phosphorus
3. Boron
4. Zinc

Correct answer: 1. Selenium

Explanation: Ans.: A (Selenium) ' Selenium deficiency causes Keshan disease(endemic cardiomyopathy)"Shinde 7th/594Possible causes of cardiomyopathy include; www.may- odinic.com/heaith/cardiomyopa thy/DS00519/DSECTION# Long-term high blood pressure# Defects in heart valve# Heart tissue damage from a previous heart attack# Chronic rapid heart rate# Metabolic disorders, such as thyroid disease or diabetes# Nutritional defdencies of essential vitamins or minerals, such as thiamin (vitamin B-l), selenium, calcium and magnesium# Pregnancy# Excessive use of alcohol over many years# Abuse of cocaine or antidepressant medications, such as tricyclic antidepressantsUse of some chemotherapy drugs to treat cancerSome viral infections, which may injure the heart and trigger cardiomyopathyIron buildup in your heart muscle (hemochromatosis)Genetic conditionsReversible cardiomyopathy due to carnitine deficiency from renal tubular wasting.Table (Harrison 18th/595): Deficiencies of MetalsElementDeficiencyBoronNo biologic function determinedCalciumReduced bone mass, osteoporosisCopperAnemia,, growth retardation, defective keratinization and pigmentation of hair, hypothermia, degenerative changes in aortic elastin, osteopenia, mental deteriorationChromiumimpaired glucose toleranceFluoride| Dental cariesIodineThyroid enlargement, |T4, cretinismIronMuscle abnormalities, koilonychia, pica, anemia, 4work performance, impaired cognitive development, premature labor, Tperinatal maternal mortalityManganeseImpaired growth and skeletal development, reproduction, lipid and carbohydrate metabolism; upper body rashMolybdenumSevere neurologic abnormalitiesSeleniumCardiomyopathy, heart failure, striated muscle degenerationPhosphorusRickets (osteomalacia), proximal muscle weakness, rhabdomyolvsis, paresthesia, ataxia, seizure, confusion, heart failure, hemolysis, acidosisZincGrowth retardation, !taste and smell, alopecia, dermatitis, diarrhea, immune dysfunction, failure to thrive, gonadal atrophy, congenital malformations